Drug used in acute congestive glaucoma are all
1. Except Atropine
2. Pilocarpine
3. Acetozolamide
4. Mannitol

Correct answer: 1. Except Atropine

Explanation: A i.e. Atropine Mydriatic drugs such as atropine, cyclopentolate, tropicamide and phenyl ephrine are precipitating factorQ for angle closure glaucoma, so not used (contraindicated) in its treatment.